Normal CVP is
1. 0-3 cm
2. 5-8 cm
3. 12-15 cm
4. >20 cm

Correct answer: 2. 5-8 cm

Explanation: .CENTRAL VENOUS PRESSURE (CVP) It is a method to measure the right atrial pressure by placing a venous catheter (20 cm) into the SVC. Commonly for CVP monitoring, a venous catheter is passed through internal jugular vein or infraclavicular subclavian vein to the SVC (used for TPN purpose).Normal value is 2-10 cm of saline. If less than 2 cm, more fluid is infused. If more than 10 cm, fluid infusion should be restricted. ref:SRB's manual of surgery,ed 3,pg no 96